Not a feature of Congenital rubella syndrome is
1. Congenital Cataract
2. Microphthalmia
3. Salt and pepper retinitis
4. Anterior Uveitis

Correct answer: 4. Anterior Uveitis

Explanation: Anterior Uveitis is Not a feature of Congenital rubella syndrome.